Inclusion bodies of vaccinia is known as -
1. Guarnieri bodies
2. Negri bodies
3. Asteroid bodies
4. Schuffner dots

Correct answer: 1. Guarnieri bodies

Explanation: Ans. is 'a' i.e., Guarnieri bodies Eosinophilic inclusion bodies - Guarnieri bodies - can be demonstrated in stained preparation of variola and vaccinia viruses.